Most important component of level of living?
1. Health
2. Education
3. Food
4. Clothes

Correct answer: 1. Health

Explanation: Ans. is 'a' i.e., Health o Health is the most important component because its impairment always means impairment of level of living.